A drug not effective in Multiple Myeloma is?
1. Bortezomib
2. Hydroxyurea
3. Melphalan
4. Cylcophosphamide

Correct answer: 2. Hydroxyurea

Explanation: Hydroxyurea REF: Harrison 17th ed chapter 106 Drugs used in chemotherapy of multiple myeloma are: Melphan Thalidomide Lenalidomide Cyclophosphamide Vincristine Doxorubicin (Adriamycin) and liposomal doxorubici